True about erythema toxicumneonatorum is ?
1. It is present in 3 - 5 % of the newborns
2. It is mostly present at birth
3. It is called the flea bitten rash of newborn
4. Topical antibiotics is the treatment of choice

Correct answer: 3. It is called the flea bitten rash of newborn

Explanation: Ans. is 'c' i.e., It is called the flea bitten rash of newborn Erythema ToxicumNeonatorum It is the harmless, erythematous, short lived eruptions of the newborn. It is present in 30 - 50% of the newborns It is considered a part of normal transition from the watery womb to the dry external environment. It appears most often in the first 2 days of life and is rarely present at birth It consists of widespread erythematous macules most present in the trunk and the proximal parts of the extremities. Hurwitz called it the flea bitten rash of new born. No active therapy is needed for the treatment.